Calcium channel blockers are used in all, except?
1. Angina
2. Supraventricular tachycardia
3. Sick sinus syndrome
4. Hypertension

Correct answer: 3. Sick sinus syndrome

Explanation: Ans. is 'c' i.e., Sick sinus syndrome